Granular keratic precipitates are made of -
1. Epitheloid cells
2. Macrophages
3. Lymphocytes
4. RBC

Correct answer: 3. Lymphocytes

Explanation: granular KPs(small and medium KPs). These are pathognomic of non-granulomatous uveitis and are composed of lymphocytes.